Plastic wrapper of surgical syringe should be discarded in:
1. Black bag
2. Yellow bag
3. Red bag
4. Blue

Correct answer: 1. Black bag

Explanation: Black bag A simplified color coding of Biomedical Waste Management, standard guidelines given by Ministry of Environment and Forest is as follows. Waste Plastic wrapper being a general waste is disposed in black Colour code of bag Waste disposed I) Black bag Noninfectious waste: - office papers, general waste, kitchen waste 2) Red hag Infectious plastic waste, disposable tunings, catheters, gloves, gauze, bandages and items contaminated with blood and body fluids 3) Yellow bag Human tissues, organs, body parts, pathology tissues, animal carcass Puncture proof containers Used needles, syringes, scalpels, blades, sharps